Triad of Revascularisation injury includes all except
1. Myoglobinuria
2. Acute Renal failure
3. Muscle infarction
4. Gangrene

Correct answer: 4. Gangrene

Explanation: Haimovici triad of revascularisation injury :

Muscle infarction.
Myoglobinuria.
Acute Renal failure.